High quality CPR include all except
1. Chest compression 200/min
2. Depth of 2 or more inches
3. Complete recoil after compression
4. Avoid excessive ventilation

Correct answer: 1. Chest compression 200/min

Explanation: High quality means providing compressions at the proper depth and rate, making sure not to lean on the chest, and keeping interruptions to an absolute minimum. The AHA CPR quality consensus statement details the components required to optimize CPR: Chest compression fraction > 80% (Stay on the chest and limit interruptions) Compression rate of 100-120 compressions/minute Compression depth > 5-6 cm Avoid leaning on the chest, which prevents full recoil Avoid excessive ventilation (Aim for 8-10 breaths/minute)